The Hymen is the membranous vestige of junction between
1. Sinovaginal bulbs and urogenital sinus
2. Cloaca and mullerian duct
3. Mullerian duct and urogenital sinus
4. Mullerian duct and sinovaginal bulbs

Correct answer: 1. Sinovaginal bulbs and urogenital sinus

Explanation: Hymen is the Partition between sino vaginal bulbs and urogenital sinus.